Multidrug Resistance Tuberculosis (MDR-TB) should be considered in patients with:
1. Contact with a known case of MDR TB
2. Clinical Deterioration
3. Sputum smear positive at 5 months of treatment
4. All of the above

Correct answer: 4. All of the above

Explanation: Answer is D (All of the above): 'Infection Control In The community' by Lawrence & May (2003) All of the options require consideration for a diagnosis of MDR - TB. Mult Drug Resistant Tuberculosis (MDR TB) MDR-TB is defined by the presence of resistance to both Rifampicin and Isoniazid with or without other resistance MDR TB should be considered in patients with: Previous drug treatment for tuberculosis Contact with a case of known MDR TB HIV infection Failure of clinical response on treatment Prolonged sputum smear or culture positive while on treatment (smear positivity at 4 months or culture positivity at 5 months)